Which is not a high pitched heart sound
1. Mid systolic click
2. Pericardial shudder
3. Opening snap
4. Tumor plop sound

Correct answer: 4. Tumor plop sound

Explanation: Ans. is 'd' i.e., Tumor plop sound Low pitch heart sounds are : S3 S4 Tumor plop sound Mid systolic clicks are Heard in mitral valve prolapse during systole and are high pitch sounds. The pericardial knock (PK) is Also high-pitched and occurs slightly later than the opening snap, corresponding in timing to the abrupt cessation of ventricular expansion after tricuspid valve opening and to an exaggerated y descent seen in the jugular venous waveform in patients with constrictive pericarditis. A tumor plop is A lower-pitched sound that can be heard in patients with atrial myxoma. It may be appreciated only in certain positions and arises from the diastolic prolapse of the tumor across the mitral valve